Ideally, traction during vacuum extraction should be applied in which of the following manner?
1. Continously
2. Intermittently with cycles of 20seconds of traction followed by 1minute of rest
3. Intermittently and with contractions
4. Intermittently and between contraction

Correct answer: 3. Intermittently and with contractions

Explanation: After the vacuum is applied, Effort should be intermittent and coordinated with maternal expulsive efforts and contractions(Ref: William's Obstetrics; 25th edition)